EMA-CO regime of chemotherapy is used in the treatment of?
1. Gestational trophoblastic neoplasia
2. Malignant Ovarian germ cell tumor
3. Endometrial carcinoma
4. CA cervix

Correct answer: 1. Gestational trophoblastic neoplasia

Explanation: Ans. A. Gestational trophoblastic neoplasiaPatients with high-risk tumors (high beta-hCG levels, disease presenting >=4 months after antecedent pregnancy, brain or liver metastasis, or failure of single-agent methotrexate) are initially treated with combination chemotherapy. EMA-CO (a cyclic non-cross-resistant combination of etoposide, methotrexate, and dactinomycin alternating with cyclophosphamide and vincristine); cisplatin, bleomycin, and vinblastine; and cisplatin, etoposide, and bleomycin are effective regimens. EMA-CO is now the regimen of choice for patients with high-risk disease because of excellent survival rates (>80%) and less toxicity.